All of the following constitute primary diagnostic criteria for ABPA, except:
1. Elevated serum IgE levels > 417 IU/ml
2. Peripheral eosinophilia >500 cells/ml
3. Central/Proximal bronchiectasis
4. Identification of A. fumigatus from sputum

Correct answer: 4. Identification of A. fumigatus from sputum

Explanation: Identification of A.fumigatus from sputum is a secondary Diagnostic criteria for ABPA: Major/Primary diagnostic criteria Secondary Diagnostic criteria Clinical history of Asthma Pulmonary infiltrates transient/fleeting or fixed) Peripheral eosinophilia Immediate skin reactivity to Aspergillus antigen Elevated serum IgE levels or Central/Proximal Bronchiectasis Precipitating antibodies to A.fumigatus Elevated specific serum IgE or IgG antibodies to A.Fumigatus History of brownish plugs in sputum Identification of A.fumigatus from sputum Late skin reactivity to aspergillus antigen Ref: CMDT 2017; Harrisons 19 edition/1686